Looser's zones are seen in-
1. Osteomalacia
2. Paget's disease
3. Renal osteodystrophy
4. All of the above

Correct answer: 4. All of the above

Explanation: Ans. is 'd' i.e., All of the above Milkman's fracture/Pseudofractures/Looser's zones/Osteoid seams These may be detined as areas of unmineralized hone that are typically seen at sites of mechanical stress (incomplete stress fractures) or at sites of nutrient vessel pulsations Typical features include :- Narrow radiolucent bands (2-3mm) lying perpendicular to cortex (Right angle to cortex) Usually Bilateral Usually symmetrical At a later stage sclerosis develops around these lesions mature them more prominent Conditions where Milkman's fracture may be seen Rickets/ osteomalacia (most characteristic) Renal osteodystrophy Paget 's disease Fibrous dysplasia Hereditary hyperphosphatasia Idiopathic Common locations Scapula Medial femoral neck & shaft Pubic & Ischial rami Ribs & clavicle Proximal ulna & radius Phalanges, metacarpals & metatarsals